In Dean's fluorosis index (WHO Assessment Form), code 2 indicates
1. Very mild fluorosis
2. Mild fluorosis
3. Moderate fluorosis
4. Severe fluorosis

Correct answer: 1. Very mild fluorosis